Which of the following is true about ulcerative colitis?
1. Premalignant condition
2. Cobblestone mucosa is characteristic
3. Pseudo polyps are only seen in ulcerative colitis
4. Rarely affects rectum

Correct answer: 1. Premalignant condition

Explanation: ULCERATIVE COLITIS Major pathologic process involves the mucosa and submucosa of the colon, with sparing of the muscularis. Rectal involvement (proctitis) is the hallmark of the disease, and the diagnosis should be seriously questioned if the rectal mucosa is not affected. Most characteristic lesion of UC : Crypt abscess . Cobble stone mucosa is characterisitc of CD . Pseudo polyps are MC in UC (UC > CD) It is a pre malignant condition .